Density of cells in adult corneal endothelium -
1. 2000 cells/mm2
2. 3000 cells/mm2
3. 4000 cells/mm2
4. 5000 cells/mm2

Correct answer: 2. 3000 cells/mm2

Explanation: Endothelium consists of single layer of polygonal epithelial cells.The cell density of endothelium is around 3000 cells/mm2 Reference:Comprehensive Ophthalmology,AK Khurana,6th edition,pg no.96